Calcium channel blockers are not useful in:
1. Arrhythmia.
2. Angina.
3. Hypertension.
4. Sick sinus syndrome.

Correct answer: 4. Sick sinus syndrome.

Explanation: Calcium channel blockers and beta-blockers are contraindicated in sick sinus syndrome.